Birdshot retinopathy is characterized by all except-
1. Common in females
2. Unilateral
3. HLA-A29 positive
4. Creamy yellow spots

Correct answer: 2. Unilateral

Explanation: BIRD-SHOT RETINOCHOROIDOPATHY It is a rare, idiopathic, bilaterally symmetrical chronic multifocal chorioretinitis characterised by numerous flat creamy-yellow spots due to focal chorioretinal hypopigmentation, resembling the pattern of 'bird-shot scatter from a shotgun'. The disease, more common in females than males, typically affects middle-aged healthy persons who are positive for HLA-A29. It runs a long chronic course of several years. Treatment with corticosteroids is usually not effective. Ref:comprehensive ophthalmology-AK Khurana -4/E pageno:161.